Tissue schizontocide which prevents relapse of vivax malaria is :
1. Quinine
2. Primaquine
3. Pyrimethamine
4. Chloroquine

Correct answer: 2. Primaquine